Botulinum affects all except
1. Neuromuscular junction
2. Preganglionic junction
3. Post ganglionic nerves
4. CNS

Correct answer: 4. CNS

Explanation: Botulinum toxin acts by blocking the production or release of acetylcholine at the synapses and NMJ. CNS is spared. Onset is marked by diplopia, dysphagia and dysarthria due to cranial nerve involvement. Reference: Textbook of Microbiology; Anathanarayan and paniker's; 10th edition; Page no: 269